Prussak's space is seen in ?
1. Epitympanum
2. Hypotympanum
3. Mesotympanum
4. Ear Canal

Correct answer: 1. Epitympanum

Explanation: Ans. is 'a' i.e., EpitympanumPrussak's space is a small space between the shrapnel's membrane/pars flaccida laterally. neck of malleus medially, short process of malleus below and lateral process of malleus above.Prussak's space communicates with epitympanum through a posterior gap.Prussak's space is important because it is a site for pars flaccida acquired cholesteatoma formation.